Which of the following is directly acting skeletal muscle relaxant -
1. Dantrolene
2. Suxamethonium
3. Pancuronium
4. Atracurium

Correct answer: 1. Dantrolene

Explanation: Ans. is 'a' i.e., Dantrolene Dantrolene is a directly acting skeletal muscle relaxant.